M/C immediate complication of splenectomy?
1. Hemorrhage
2. Fistula
3. Bleeding from gastric mucosa
4. Pancreatitis

Correct answer: 1. Hemorrhage

Explanation: Most common immediate complication of splenectomy is hemorrhage Late/Delayed complication - Opportunistic infection by capsulated organism like Pneumococcus, Meningococcus, H. influenza. Indication for splenectomy includes: Symptom control in patients with massive splenomegaly, Disease control in patients with traumatic splenic rupture, Correction of cytopenias in patients with hypersplenism or immune-mediated destruction of one or more cellular blood elements. Patients with sickle cell disease suffer from autosplenectomy as a result of splenic destruction by the numerous infarcts associated with sickle cell crises during childhood.